Which of the following is Bruton's tyrosine Kinase inhibitor ?
1. Gilteritinib
2. Axitinib
3. Ibrutinib
4. Bosutinib

Correct answer: 3. Ibrutinib

Explanation: Ibrutinib is a Bruton's tyrosine Kinase inhibitor that inhibits porliferation of B-cells. It is used in the treatment of CLL, Waldenstorm macroglobulinemia.